Amount of amniotic fluid at 12 weeks of pregnancy is:
1. 50 ml
2. 100 ml
3. 200 ml
4. 400 ml

Correct answer: 1. 50 ml

Explanation: 50 ml